COMMONEST presentation of Carcinoma rectum is:
1. Diarrhea
2. Constipation
3. Bleeding per rectum
4. Feeling of incomplete defecation

Correct answer: 3. Bleeding per rectum

Explanation: Bleeding is the earliest and most common symptom. Often the bleeding is slight in amount. Alteration in the bowel habit is the next most frequent symptom. An early morning urgency may occur bit he passes only mucous and blood (early morning bloody diarrhea). An annular carcinoma at pelvi-rectal junction may lead to constipation and obstruction. Other symptoms are: Tenesmus: almost invariably present in tumor of lower half of rectum. Pain: is a late symptom. Weight loss Ref: Bailey & Love 25/e, Page 1231.